Inhibition of anaerobic glycolysis by increase supply of O2 is called:
1. Carbtree effect
2. Pasteur effect
3. Lewis effect
4. None

Correct answer: 2. Pasteur effect

Explanation: Pasteur effect Warburg effect Crabtree Effect In aerobic conditions, glucose consumption decreases Or In the presence of O2 , anaerobic glycolysis is inhibited Under aerobic conditions, glucose consumption increases Or Even In the presence of O2 , anaerobic glycolysis is promoted (in cancer cells) If glucose increases, then O2 consumption falls Or When O2 supply is kept constant & glucose concentration is increased, then the O2 consumption by cell falls